Petrified man is seen in:
1. Generalized myositis ossificans
2. Ehlers Danlos syndrome
3. Osteogenesis imperfecta
4. Cherubism

Correct answer: 1. Generalized myositis ossificans

Explanation: Claw hand: Seen in

Scleroderma 
Leprosy
Mucopolysaccharidosis or Hurler's syndrome or Gorgolism

Mask like appearance of face:

Scleroderma 
Bell's palsy
Grotesque or simian appearance - Pagets disease of bone.

Angle face: Cherubism

Petriﬁed man: Generalized myositis ossiﬁcans (stiﬀness of organs)
Rubber man: Ehlers-Danlos syndrome.